Carcinoma cervix presents with
1. Postcoital bleed
2. Abnormal vaginal bleed
3. Purulent discharge per vaginum
4. All of the above

Correct answer: 4. All of the above

Explanation: Carcinoma cervix has a bimodal peak one at 30-35 yrs and a second peak at 50-55 yrs. Presentation is typically abnormal vaginal bleeding --- in reproductive age group with metrorrhagia and in postmenopausal women with postmenopausal bleeding. There can be a cervical growth which can lead to postcoital bleeding. If it undergoes necrosis then there can be purulent discharge per vaginum. Sometimes cancer cervix can present with VVF and with also with features of uraemia.